All are actions of depolarising agents except
1. Bradycardia
2. Hypokalemia
3. Increased Intracranial tension
4. Increased Intraocular pressure

Correct answer: 2. Hypokalemia

Explanation: They causes hyperkalemia, and if hyperkalemia is already present depolarizing agents are a contraindication.